A middle aged person presented with the complaints of fear of leaving home, fear of travelling alone and fear of being in a crowd. He develops marked anxiety with palpitations and sweating, if he is in these situations. The most likely diagnosis is:
1. Generalized anxiety disorder
2. Schizophrenia
3. Personality disorder
4. Agoraphobia

Correct answer: 4. Agoraphobia

Explanation: Ans. Agoraphobia